Following are the post mortem findings in carbon monoxide poisoning except -
1. Froth at mouth and nose
2. Blue skin discoloration
3. Basal ganglia cavitation
4. Congested lungs

Correct answer: 2. Blue skin discoloration

Explanation: Autopsy findings cherry red discoloration of skin,mucous membrane,nail bed blood is fluid fine froth in mouth and nose congestion of lungs,pulmonary edema hemorrhages in meninges and cox Features of asphyxia REF;THE SYNOPSIS OF FORENSIC MEDICINE:KS NARAYANA REDDY;28th EDITION;PAGE NO 360